All are features of early gastric carcinoma except
1. Mucosal involvement
2. Submucosal involvement
3. Muscularis propria not involved
4. Paradoxical aciduria

Correct answer: 4. Paradoxical aciduria

Explanation: Early gastric cancer is gastric cancer limited to the mucosa, submucosa, or both, regardless of lymph node status and offers an excellent chance of cure based on surgical resection. Patients of GOO have hypochloremic hypokalemic hyponatremic alkalosis and paradoxical aciduria (in late cases) Early Gastric Cancer Type I Exophytic lesion extending into the gastric lumen Type II Superficial variant II A Elevated lesions with a height no more than the thickness of the adjacent mucosa IIB Flat lesions IIC Depressed lesions with an eroded but not deeply ulcerated appearance Type III Excavated lesions that may extend into the muscular propria without invasion of this layer by actual cancer cells